Which of the following is NOT characteristic of menopause?
1. There is a decrease in skin elasticity
2. Systemic vasomotor instability may be present
3. There may be an increase in FSH secretion by the pituitary gland
4. There is a marked decrease in adrenal cortical estrogen secretion

Correct answer: 4. There is a marked decrease in adrenal cortical estrogen secretion

Explanation: Menopause begins at age 45 to 50 years old. It is a gradual process which concludes with the cessation of menstruation. Cessation of menstrual flow for a period of one year is considered completion of menopause. Menopause is associated with a marked decline in ovarian estrogen secretion, but adrenal cortical estrogens continue to be secreted but are not of sufficient quantity to maintain secondary sexual characteristics. There is a loss of breast tissue, subcutaneous fat, skin elasticity, and body hair as a result of decrease in estrogen supply. There is also systemic vaso instability leading to hot flashes, dizziness, and headaches. The pituitary gland responds to the decrease in estrogen by increasing FSH secretions. Ref: Hoffman B.L., Schorge J.O., Schaffer J.I., Halvorson L.M., Bradshaw K.D., Cunningham F.G., Calver L.E. (2012). Chapter 22. The Mature Woman. In B.L. Hoffman, J.O. Schorge, J.I. Schaffer, L.M. Halvorson, K.D. Bradshaw, F.G. Cunningham, L.E. Calver (Eds), Williams Gynecology, 2e.